What is the treatment of a child with supraventricular tachycardia?
1. Adenosine
2. Digoxin
3. Sotalol
4. Flecainide

Correct answer: 1. Adenosine

Explanation: Ans. is 'a' i.e., Adenosine Treatment of supraventricular tachycardias in childreno In severe haemodynamic compromise, or if ventricular tachycardia is suspected, tachycardia should immediately be terminated by external cardioversion during deep sedationo Vagal manoeuvres are effective in patients with atrioventricular reentrant tachycardias.o Adenosine is the drug of first choice in any age group for tachycardias involving the atrioventricular node; its advantages include short half-life and minimal or absent negative inotropic effects. Adenosine may also be used in patients with wide QRS complex tachycardia.o Intravenous verapamil is contraindicated in neonates and infants because of the high risk of electromechanical dissociation. In older children (>5 years) and adolescents, verapamil may be administered with the same restrictions as in adult patients